Which of the following is false about Protaper system
1. It has non cutting Tips
2. Conventionally has set of 6 files Sx S1 S2 F1 F2 and F3
3. F1 has 0.25 mm diameter and 8% taper
4. There is separate system for retreatment cases.

Correct answer: 3. F1 has 0.25 mm diameter and 8% taper